During sclerotherapy (by endoscopy), following are complications except -
1. Hepatic encephalopathy
2. Perforation
3. Stenosis
4. Fibrosis

Correct answer: 1. Hepatic encephalopathy

Explanation: Hepatic encephalopathy as a complication of endoscopic sclerotherapy is unlikely whereas it is common after TIPSS. Complications of endoscopic sclerotherapy are : Esophageal ulceration - which may bleed and perforate Mediastinitis Pleural effusion Pulmonary edema Late strictures Ref : Sabiston 17/e, p 1251